The presence of white fibrocartilage is a feature of all of the following, EXCEPT:
1. Acetabular labrum
2. Intervertebral disc
3. Meniscus
4. Pinna

Correct answer: 4. Pinna

Explanation: Pinna is composed of a thin plate of yellow elastic cartilage, covered with integumentIt is connected to the surrounding parts by ligaments and muscles; and to the commencement of the external acoustic meatus by fibrous tissue.